Sterilization of culture media containing serum is by :
1. Autoclaving
2. Micropore filter
3. Gamma radiation
4. Centrifugation

Correct answer: 2. Micropore filter

Explanation: Most of the culture media are sterilized by Autoclaving at 121°C for 15 min at 15 lb pressure / inch2
Constituents like serum, trypsin, growth factors, proteins, amino acids, vitamins, hormones, carbohydrates and plant extracts are thermolabile and may decompose during autoclaving. Therefore, these must be sterilised by filtration.